The most common cause of acquired arteriovenous fistula is?
1. Bacterial infection
2. Fungal infection
3. Blunt trauma
4. Penetrating trauma

Correct answer: 4. Penetrating trauma

Explanation: Ans. is 'd' i.e. Penetrating trauma "Penetrating injuries are the most common cause, but fistulas are sometimes seen after blunt trauma" - CSDT